Which of the following is not a goal for 2010 as per national health policy 2002?
1. Reduce mortality by TB by 50%
2. Eliminate kala azar
3. Reduce IMR
4. Eradicate polio

Correct answer: 4. Eradicate polio

Explanation: Ans. is `d' i.e., Eradicate polio